Which among the following does not secrete interleukin I alpha -
1. Lymphocyte
2. Fibroblast
3. Macrophage
4. Neutrophils

Correct answer: 4. Neutrophils